The severity of mitral regurgitation is decided by all of the following clinical findings except
1. Presence of mid- diastolic murmur across mitral valve
2. Wide split second heart sound.
3. Presence of left ventricular S3 gallop.
4. Intensity of systolic murmur across mitral valve

Correct answer: 4. Intensity of systolic murmur across mitral valve